Sympathetic ophthalmitis results due to-
1. Penetrating injury of ciliary body
2. Uveitis
3. Glaucoma
4. Trachoma

Correct answer: 1. Penetrating injury of ciliary body

Explanation: *Dalen Fuch's nodules are seen in sympathetic ophthalmitis. It is granulomatous condition caused by injury to ciliary body. Ref: Khurana 7th/e p.455